Increased LH:FSH ratio is found in :
1. Premature menopause
2. Sheehan syndrome
3. Polycystic ovary syndrome
4. Turner's syndrome

Correct answer: 3. Polycystic ovary syndrome

Explanation: Polycystic ovary syndrome